All are parts of anterior segment of eye except?
1. Lens
2. Cornea
3. Vitreous
4. None

Correct answer: 3. Vitreous

Explanation: Ans. is 'c' i.e., Vitreous The eyeball is divided into two segments : ? Anterior segment Part of eyeball anterior to posterior border of lens is called anterior segment. It consists of lens, and structures anterior to it, i.e., cornea, iris and two aqueous humor-filled spaces, i.e., anterior and posterior chambers. Anterior chambers : - It is bounded anteriorly by back of cornea and posteriorly by the iris & part of ciliary body. It contains aqueous humor. Posterior chamber : - This triangular chamber is bounded anteriorly by the posterior surface of the iris & ciliary body and posteriorly by the lens and it zonules. It also contains aqueous humor. Thus, both anterior and posterior chambers are part of anterior segment and both contain aqueous humor. Posterior segment Part of eye ball posterior to lens is called posterior segment. It consists of vitreous humor, retina, choroid and optic disc.